Dimorphic fungus rpt
1. Candida
2. Histoplasma
3. Rhizopus
4. Mucor

Correct answer: 2. Histoplasma

Explanation: candida- yeast like fungi. rhizopus and mucor are mould. REF:Baveja textbook of microbiology 4th edition